Surgery of choice for pleomorphic adenoma is:
1. Total parotidectomy
2. Superficial parotidectomy
3. Total parotidectomy with lymph node dissection
4. Radical parotidectomy

Correct answer: 2. Superficial parotidectomy

Explanation: Ans. B: Superficial parotidectomy The pleomorphic adenoma is by far the most common benign salivary gland tumor, accounting for as many as 80% of all such tumors. Although almost one half of tumors found in the minor salivary glands are malignant, the pleomorphic adenoma is still the most common tumor in these glands. The current standard is that all pleomorphic adenomas should be surgically removed because the risk of malignancy is 25% if the tumors are left untreated. All the tumours of the superficial lobe of the parotid gland should be managed by superficial parotidectomy (Superficiall parotidectomy is the commonest procedure done for parotid gland pathology) Radical parotidectomy is done when there is clear histological evidence of a high grade malignant tumour.